Histopathological feature of HIV encephalitis is/are-a)  Negri bodyb)  Lewy body c)  Fibrillary plaqued) Microglial nodulese)  Multinucleated giant cell
1. ab
2. bc
3. de
4. bd

Correct answer: 3. de

Explanation: Microscopic findings of HIV encephalitis are :-

Diffuse white matter pallor
Perivascular infiltrates of lymphocytes and macrophages
Foci of necrosis, gliosis and / or demyelination
Microglial nodules, macrophages and multinucleated cells